Intracranial tumor extending to orbit mostcommonly ?
1. Glioma
2. Meningioma
3. Medulloblastoma
4. Craniopharyngioma

Correct answer: 2. Meningioma

Explanation: Ans. is 'b' i.e., Meningioma Meningiomas are the most common intracranial tumor to extend to the orbit" Ophthalmic oncology Meningiomas commonly arise from the dura of sphenoid wing, i.e. sphenoid wing meningioma